Vossius ring is seen in
1. After cataract
2. Blunt trauma
3. Diabetics
4. Hypertensive retinopathy

Correct answer: 2. Blunt trauma

Explanation: B. i.e. (Blunt trauma) (367 - Parson 20th- 405 -Khurana 4th)Vossius- Ring - is a circular ring of brown pigment seen on the anterior capsule** of the lens* It occurs due to striking of the contracted pupillary margin against the crystalline lens. It is always smaller than the size of the pupil* It is always smaller than the size of the pupil produced by the force of the blow driving the cornea and iris backwards* Rosette - shaped cataract following blunt trauma